Which layer of epidermis is underdeveloped in the VLBW infants in the initial 7 days?
1. Stratum germinativum.
2. Stratum granulosum
3. Stratum lucidum
4. Stratum corneum

Correct answer: 4. Stratum corneum

Explanation: Ans. is 'd' ie., stratum corneum "Stratum corneum is permeable in preterm infants and becomes similar to the adults and in infants after two to three weeks of post natal maturation" - page 109, Physical diagnosis in neonatology: